All are true regarding Seminoma EXCEPT
1. Common in age between 35 and 45 years
2. Metastasis to lymphatics
3. Radio resistant
4. Not seen before puberty

Correct answer: 3. Radio resistant

Explanation: C. i.e. (Radio resistant) (1312 - 13. S. Das 5th) (1385-B & L 25th)* Testicular seminoma is remarkably radiosensitive tumour and vigorous attempt should be made to irradicate the tumour even in patients with advanced diseaseSEMINOMA - is the most common form of testicular tumour in the adult (Between 35 and 45 years). They almost never occur in infancy* Painless swelling is commonest presentation* A seminoma metastasizes almost exclusively by the lymph vessels* Active lymphocytic infiltration of the tumour suggests a good host response and a better prognosisTERATOMA - age between 20 and 35. years* Pulmonary metastasis suggests that the tumour is a teratoma*** Teratoma is less sensitive to radiation* Jaundice and palpable liver may be the only presenting features of a case of teratoma* Most common testicular tumor in prepubertal adults is Yolk sac tumour**